The most common presenting feature of the complete mole is -
1. Vomiting
2. Amenorrhoea
3. Headache
4. Bleeding pervaginum

Correct answer: 4. Bleeding pervaginum